Function of myoepithelial cell:
1. Accelerate the initial outflow of saliva from the acini.
2. Reduce the luminal volume.
3. Contribute to secretory pressure in the acini or duct.
4. All of the above.

Correct answer: 4. All of the above.

Explanation: Accelerate the initial outflow of saliva from the acini.
Reduce luminal volume. The intercalated ducts may shorten and widen the ducts helping to maintain their patency.
Contribute to secretory pressure in the acini or duct.
Support the underlying parenchyma and reduce the back permeation of fluid.
Help salivary flow to overcome increase in peripheral resistance of the ducts